Limiting amino acid in wheat-
1. Methionine
2. Tryptophan
3. Lysine
4. Alanine

Correct answer: 3. Lysine

Explanation: Ans. is 'c' i.e., Lysine Amongst cerealso Highest protein content-Wheato Highest fat content-Maizeo Highest carbohydrate-Riceo Highest vitamin B complex-Maizeo Limiting amino acids in wheat - Lysine & threonineo Limiting amino acids in maize - Tryptophan & lysineo Maize contains excessive leucine which is pellagrogenic as it interferes conversion of tryptophan into niacin.